Consider the following in a newborn:1. Heart rate of 1102. Slow and irregular respiratory effort3. Flaccid muscle tone4. No reflex irritability5. Blue colourWhat is the Apgar score in this case?
1. 1
2. 3
3. 5
4. 7

Correct answer: 2. 3

Explanation: Ans. is b, i.e. 3Ref. Dutta Obs. 7/e. p 47CSigns012* Respiratory effortAbsentSlow, irregularGood, crying* Heart rateAbsentSlow (< 100)> 100* Muscle toneFlaccidFlexion of extremitiesActive body movement* Reflex irritabilityNo responseGrimaceCry* ColourBlue, paleBody pink, extremities blueComplete pinkTotal score =10No depression =7-10Mild depression =4-6Severe depression =0-3In this case:Heart rate = 110 means score of 2Respiratory effort = slow and irregular means a score of 1Muscle flaccid = score 0Blue color = score 0Totalscoreinthiscase=3Reflexirritabilitynone=0